Structures that passes through Foramen Magnum include all, EXCEPT?
1. Ascending cervical artery
2. Accessory nerve
3. Vertebral arteries
4. Spinal arteries

Correct answer: 1. Ascending cervical artery

Explanation: The foramen magnum transmits the spinal accessory nerve, vertebral arteries, the anterior and posterior spinal arteries, the membrana tectoria and alar ligaments. The foramen magnum is bounded laterally by the occipital condyles.